Endemic fungal infection -a)  Coccidioides immitisb)  Cryptococcusc) Histoplasmosisd) Aspergilluse) Blastomyces
1. ace
2. bde
3. cde
4. ade

Correct answer: 1. ace

Explanation: Endemic Mycosis- Fungal infection which is confined to particular geographical area. All these fungi show thermal dimorphism and cause systemic mycosis.
Mycosis - Endemic Area
Histoplasmosis - Central and Southeastern U.S.
Blastomycosis - North America
Coccidioidomycosis - Central and South America
Paracoccidioidomycosis - Latin America (Brazil)